Radical neck dissection involves all except
1. Sternocleidomastoid muscle
2. Internal jugular vein
3. Vagus nerve
4. Spinal accessory nerve

Correct answer: 3. Vagus nerve

Explanation: Vagus nerve is not removed in Radical Neck Dissection. Structures removed in Radical Neck Dissection: Level I-V Lymph nodes, Sternocleidomastoid, Internal Jugular Vein, Spinal Accessory Nerve, Submandibular salivary gland, Tail of parotid and Omohyoid muscle. Ref: Textbook of ENT, Dhingra; 6th edition; Pg no: 388 ref img